Mumps is characterized by triad of:
1. Epidemic parotitis, orchitis-oophoritis, pancreatitis.
2. Orchitis-oophoritis, encephalitis, pancreatitis.
3. Epidemic parotitis, meningoencephalitis, pancreatitis.
4. None of the above.

Correct answer: 1. Epidemic parotitis, orchitis-oophoritis, pancreatitis.